All are true except ?
1. Exotoxin has enzymatic action
2. Endotoxin has enzymatic action
3. Exotoxin is highly antigenic
4. Endotoxin is weakly antigenic

Correct answer: 2. Endotoxin has enzymatic action

Explanation: Ans. is 'b' i.e., Endotoxin has enzymatic action